Mother to child transmission of HIV ?
1. 25%
2. 50%
3. 60%
4. 75%

Correct answer: 1. 25%

Explanation: Ans. is 'a' i.e., 25% . Probability of transmission of HIV from mother to infant/fetus ranges from 15 to 25% in industrialized countries and from 25 to 35% in developing countries.